Mutation in Marfan’s syndrome is?
1. Collagen I
2. Fibrillin I
3. Collagen II
4. Fibrillin II

Correct answer: 2. Fibrillin I

Explanation: Mutations in the fibrillin-1 gene cause Marfan’s syndrome
Mutations in the fibrillin-2 gene have been linked to Beal's Syndrome,